Arlt's line is seen in?
1. Trachoma
2. Vernal catarrh
3. Spring catarrh
4. Angular conjunctivitis

Correct answer: 1. Trachoma

Explanation: ANSWER: (A) TrachomaREF: Khurana 4th ed p. 64Conjuctival scarring seen in trachoma as irregular stellate shaped scars over sulcus subtarsalis is called arlt's line.